All are substrates for gluconeogenesis except
1. Lactate
2. Propionate
3. Alanine
4. Acetyl-CoA

Correct answer: 4. Acetyl-CoA

Explanation: Substrates for gluconeogenesis- lactate,glucogenic amino acids such as alanine,glycerol,propionyl CoA.Ref: DM Vasudevan, 7th edition, page no: 119